Right shift of oxygen dissociation curve is caused by?
1. Hypothermia
2. Hypoxia
3. Alkalosis
4. HbF

Correct answer: 2. Hypoxia

Explanation: Ans. is `b' i.e., Hypoxia